Beta 2 transferrin is found in
1. Blood
2. Tear
3. Urine
4. CSF

Correct answer: 4. CSF

Explanation: Beta 2 transferrin is found in CSF Ref: guyton and hall textbook of medical physiology 12 edition page number:813,814,815